Balthazar grading is used for acute pancreatitis based on findings on
1. USG
2. CT
3. MRI
4. ERCP

Correct answer: 2. CT

Explanation: CT grading of acute pancreatitis - Balthazar grading.